The point of distinction between partial mole to complete mole is :
1. Partial mole is triploid or tetraploid
2. Partial mole is more prone to turn malignant
3. Typical of partial mole is cellular atypia
4. Partial mole shows trophoblastic proliferation with absent villi

Correct answer: 1. Partial mole is triploid or tetraploid

Explanation: Partial mole is triploid or tetraploid